The superior oblique muscle is supplied by -
1. 3
rd 
cranial nerve
2. 4
th
 cranial nerve
3. 5
th
 cranial nerve
4. 6
th 
cranial nerve

Correct answer: 2. 4
th
 cranial nerve

Explanation: Superior oblique is supplied by 4th (trochlear) nerve.